Trichophyton infects:
1. Skin + nail
2. Skin + hair
3. Hair + nail
4. Skin +hair+ nail

Correct answer: 4. Skin +hair+ nail

Explanation: Ans: (d) Skin + Hair + NailRef: Roxburg 17th ed. / 39* Trichophyton Infects skin, hair & nail.* Infecting species include:# Trichophyton rubrum, Memtangrophyte, Violaceum, Verrucosum and Schoenleinii.